Which ocular muscle does NOT arises from apex of orbit
1. Superior rectus
2. Inferior rectus
3. Superior oblique
4. Inferior oblique

Correct answer: 4. Inferior oblique

Explanation: D. i.e. Inferior oblique